In the treatment of intestinal and extraintestinal amoebiasis which of the following drug is useful:
1. Diloxane
2. Metronidazole
3. Chloroquine
4. Cefaclor

Correct answer: 2. Metronidazole